Posterior capsulotomy after cataract is done using
1. Argon Laser
2. Nd YAg
3. Holmium
4. Diode laser

Correct answer: 2. Nd YAg

Explanation: (Refer: AK Khurana Comprehensive Ophthalmology, 6th edition, pg no. 214 - 215)After cataract, if thin, can be cleared centrally by Nd: YAG laser capsulotomy. Dissection with cystitome or Zeigler's knife also be used. Thick membranous after cataract needs surgical membranectomy.